Paneth cells contain:
1. Zinc
2. Copper
3. Molybdenum
4. Selenium

Correct answer: 1. Zinc

Explanation: Zinc